Best agent for premenstrual syndrome management is?
1. gesterone
2. Anxiolytic
3. SSRI
4. Vitamin E

Correct answer: 3. SSRI

Explanation: SSRI are the first choice of drug for premenstrual dysphoric syndrome. REF KD Tripati 8TH ED